Which of the following, if left untreated is most likely to result in periapical lesion?
1. Internal resorption
2. Focal reversible pulpitis
3. Acute suppurative pulpitis
4. Chronic hyperplastic pulpitis

Correct answer: 3. Acute suppurative pulpitis

Explanation: Acute pulpitis may result in formation of acute apical abscess which inturn may result in periapical granuloma or cyst and some times ending up in osteomyelitis.